Which of the following has an intracapsular origin?
1. Plantaris
2. Soleus
3. Gastronemius
4. Popliteus

Correct answer: 4. Popliteus

Explanation: Popliteus - origin - Lateral surface of condyle of femur; origin is intracapsular. Outer margin of lateral meniscus of the knee joint. Ref : B D Chaurasia 's Human Anatomy , seventh edition , volume 2 , pg. no., 118 ( fig. no., 2.15 )